Most common manifestation of congenital toxoplasmosis
1. Hydrocephalus
2. Chorioretinitis
3. Calcification
4. Convulsions

Correct answer: 2. Chorioretinitis

Explanation: Most common - Chorioretinitis
In adults - Cervical lymphadenopathy.